Berloque dermatitis is due to contact with which of the following:
1. Plants
2. Food
3. Cosmetics
4. Metal

Correct answer: 3. Cosmetics

Explanation: Ans. C. Cosmeticsa. Berloque dermatitis is a skin condition in which patients develops a brownish to reddish discoloration of the neck and sometimes the arms due to applying perfume or cologne to the skin.b. Sometimes the skin 1st turns red before changing to a brownish Color.c. This condition can persist for years or even be permanent. Many perfumes and colognes contain oil of bergamot, an extract of the peel of a specific orange grown in the South of France and the Calabria district of Italy. When this oil comes in contact with the skin and the skin is exposed to sunlight, the oil of bergamot causes the skin to discolor.d. With repeated exposures to sunlight, the discoloration becomes permanent.